Surgical wound of gastrojejunostomy is an example for
1. Clean wound
2. Clean contaminated wound
3. Contaminated wound
4. Dirty wound

Correct answer: 2. Clean contaminated wound

Explanation: GIT is breached (hence no clean), no gross spillage, so not contaminated. GI breached with no gross spillage is clean contaminated wound. These have less than 10% chance of post op infections